Which of the following has least extrapyramidal side effect:
1. Haloperidol
2. Fluphenazine
3. Clozapine
4. Flupenthioxol

Correct answer: 3. Clozapine

Explanation: Ref: KDT 6/e p429 Clozapine is an atypical neuroleptic with least extrapyramidal side effects among all antipsychotics.